If a doctor gives a false medical certificate to a patient, he is liable to be prosecuted under which section of the IPC -
1. 137
2. 147
3. 167
4. 197

Correct answer: 4. 197

Explanation: S.197, I.P.C.: Issuing or signing the false certificate, imprisonment up to 7 years. REF: The Synopsis of Forensic medicine and toxicology 29th edition page no: 31.